Main function of Vas deferens is-
1. Secretion of PGs
2. Secretion of Fructose
3. Transport of sperm
4. Secretion of semen

Correct answer: 3. Transport of sperm

Explanation: Ans. is 'c' i.e., Transport of sperm Vas Deferens* It is a thick-walled muscular tube, about 45 cm (18 inches) long, which begins at the tail of the epididymis as the direct continuation of the duct of the epididymis.* It runs upward along with vessels within the spermatic cord.* The terminal part of each vas deferens is sacculated and called ampulla of vas deferens.* It serves as a reservoir of sperm and tubular fluid.* The terminal narrow part of vas deferens joins the duct of seminal vesicle to form the ejaculatory duct at the base of the prostate gland.* Main function of vas deferens is to transpart spermatozos from the epididymis to ejaculatory duct.* Peristaltic contractions of smooth muscle help in propelling the semen.* The vas deferens is cord like when grasped between thumb and index finger because of its thick wall and small lumen.